Culture medium for campylobactor jejuni -
1. BYCE medium
2. Skirrow's medium
3. Thayer-Martin medium
4. TCBS medium

Correct answer: 2. Skirrow's medium

Explanation: Ans. is 'b' i.e., Skirrow's medium Media for Campvlobactoro Preston mediao Campylobactor agar baseo Skirrow*s mediao Butzlers mediao Aka Balton mediao Karmali agaro Columbia blood agaro Campylobactor enrichment broth,o CCDA (Charcol-cefoperazone-deoxycholate agar)o CVA (Cefoperazone, Vancomycin and amphotericin B)